Which of the following is not a prodrug-
1. Enalapril
2. Oxcarbazepine
3. Chloral hydrate
4. Diazepam

Correct answer: 4. Diazepam

Explanation: Ans. is 'd' i.e., Diazepam Prodrug o Few drugs are inactive as such and need conversion in the body to one or more active metabolites. Such a drug is called a prodrug. Prodrug Levodopa Enalapril - Methyldopa Chloralhydrate Dipivefrine Oxcarbazepine Prednisone Bacampicillin Sulfasalazine Cyclophosphamide Mercaptopurine Fluorouracil Sulindac Azathioprine Cortisone Benorilate Proguanil Zidovudin Terfenadine Prontosil